The following tetracycline has the potential to cause vestibular toxicity :
1. Minocycline
2. Demeclocycline
3. Doxycycline
4. Tetracycline

Correct answer: 1. Minocycline